Characteristic finding in muscular dystrophy is -a) Inflammatory cell infiltrateb) Heterogenicity of fiber sizec) Nuclear proliferation beneath sarcolemmad) Muscle necrosis
1. c
2. d
3. ab
4. bd

Correct answer: 4. bd

Explanation: Histological findings of muscular dystrophy 

Variation (hetrogenicity) in fiber size.
Increased number of internalized nuclei.
Degeneration, necrosis and phagocytosis of muscle fibers.
Regenration of muscle fibers.
Proliferation of endomysial connective tissue.